Shohl's solution is used for treatment of?
1. Hypokalemia
2. Hyperkalemia
3. Metabolic acidosis
4. Hungry bones syndrome

Correct answer: 3. Metabolic acidosis

Explanation: Shohl's solution is used for treatment of- Metabolic acidosis Shohl solution- contains citric acid and sodium citrate